Watercan perineum is caused by
1. Escherichia coli
2. Enterococcus fecalis
3. Neisseria gonorrhoeae
4. Treponema pallidium

Correct answer: 3. Neisseria gonorrhoeae

Explanation: Gonorrhea is a venereal disease that has been known since ancient times. The disease is acquired by sexual contact. Caused by Neisseria gonorrhoeae. The first step in infection is adhesion of gonococci to the urethra or other mucosal surfaces. Pili are involved in this adhesion. Adhesion is rapid and firm so that micturition after exposure offers no protection against infection. The cocci penetrate through the intercellular spaces and reach the subepithelial connective tissue by the third day of infection. The incubation period is 2-8 days. In men, the disease starts as an acute urethritis with a mucopurulent discharge containing gonococci in large numbers. The infection extends along the urethra to prostrate, seminal vesicles and epididymis. The infection may spread to the periurethral tissues, causing abscess and multiple discharging sinuses: Watercan perineum. Reference: Textbook of Microbiology; Anathanarayan and panicker's; 10th edition; Page no: 235